All of the following are features of large intestine except
1. Appendices epiploicae
2. Valvular conniventes
3. Taenia coli
4. Haustrations

Correct answer: 2. Valvular conniventes

Explanation: Valvulae conniventes is a feature of small intestine which is a prominent mucosa fold seen in jejunum Appendices epiploicae, taenia coli and halustrations are seen in large intestine Ref: Bailey and love 27th edition Pg no : 1241